Gingival biopsy is useful in the diagnosis of
1. Sarcoidosis
2. Amyloidosis
3. Histoplasmosis
4. Scurvy

Correct answer: 2. Amyloidosis

Explanation: Ref Harrison 17/ 2146; Robbins 9/e p 262,7/e p264 Other Organs. Amyloidosis of other organs generally is encountered in systemic disease. The adrenals, thyroid, and pituitary are common sites of involvement. In such cases as well, the amyloid deposition begins in relation to stromal and endothelial cells and progressively encroaches on the paren- chymal cells. Surprisingly large amounts of amyloid may be present in any of these endocrine glands without apparent disturbance of function. In the gastrointestinal tract, a rela- tively favored site for deposition, amyloid may be found at all levels, sometimes producing tumorous masses that must be distinguished from neoplasms. Nodular depositions in the tongue may produce macroglossia. On the basis of the frequent involvement of the gastrointestinal tract in systemic cases, gingival, intestinal, and rectal biopsies serve in the diag- nosis of suspected cases. Deposition of b2-microglobulin amyloid in patients receiving long-term dialysis occurs most commonly in the carpal ligaments of the wrist, resulting in compression of the median nerve (leading to carpal tunnel syndrome).